Triangle of doom is bounded by A/E
1. Vas deferens
2. Gonadal vessels
3. Cooper's ligament
4. Peritoneal fold

Correct answer: 3. Cooper's ligament

Explanation: C i.e. Cooper's ligament